Which one of the following statement regarding the female contraceptive "Today" is true?
1. It is polyurethane foam saturated with 9nonoxynol
2. It is an oral pill containing norethisterine acetate 1.0mg and ethinyl oestradiol 0.03 mg
3. It is an oral pill containing D-norgesterel 0.50 mg and ethinyl oestradiol 0.3 mg
4. It is made of "gossypol" a derivative obtained from cotton seed oil

Correct answer: 1. It is polyurethane foam saturated with 9nonoxynol

Explanation: Today is a polyurethane foam that contains the spermicidal agent 9-nonoxynol.